Which of the following enzyme leads to release of free glucose from glycogen during glycogenolysis in muscle?
1. Glycogen phosphorylase
2. Glucose-1-phosphatase
3. Glucose-6-phosphatase
4. Debranching enzyme

Correct answer: 4. Debranching enzyme

Explanation: Debranching enzyme Has 2 catalytic sites in a single polypeptide chain. Glucan transferase and debranching enzyme are the two separate activities of the same enzyme. Glucan transferase 1,6-glycosidase transfers a trisaccharide unit from one branch to the other, exposing the 1 - 6 branch point. Breaks a (1- 6) bond, which is present at the starting of a branched-chain releasing glucose **Glucose-6-phosphatase also release free glucose but only in liver and not in muscle.